Which of the following imaging techniques is best able to measure regional brain substrate uptake and metabolic kinetics?
1. magnetic resonance imaging (MRI)
2. computed tomography (CT)
3. positron emission tomography (PET)
4. serial thallium scintigrams

Correct answer: 3. positron emission tomography (PET)

Explanation: PET scans use glucose analogues to demonstrate metabolic activity. They are rarely available, however, and functional MRI scans are now being used extensively to assess areas of brain activity.